Single most common finding in Aphasic Patients is -
1. Anomia
2. Apraxia
3. Alexia
4. Agraphia

Correct answer: 1. Anomia